Aseptic necrosis is commoner in fractures of:
1. Calcaneum
2. Scaphoid
3. Cuboid
4. Trapezium

Correct answer: 2. Scaphoid

Explanation: Ans. B: Scaphoid The blood supply of the Scaphoid is precarious In fractures through the waist, there is high probability of the proximal fragment becoming avascular